Which of the following is not an indication for endotracheal intubation?
1. Maintenance of a patent airway
2. To provide positive pressure ventilation
3. Pulmonary toilet
4. Pneumothorax

Correct answer: 4. Pneumothorax

Explanation: Pneumothorax requires urgent needle thoracocentesis and/or Intercostal drainage. Pneumothorax is a known complication of endotracheal intubation and mechanical ventilation and is certainly not an indication for the same.